Which of the following is the origin of the mitochondrial DNA of all human adult cells?
1. Paternal only
2. Maternal only
3. A combination of paternal and maternal
4. Either paternal or maternal

Correct answer: 2. Maternal only

Explanation: The mitochondrial DNA of all human adult cells is of maternal origin only. In human fertilization, the entire sperm enters the secondary oocyte cytoplasm. However, sperm mitochondria degenerate along with the sperm's tail. Therefore, only mitochondria present within the secondary oocyte (maternal) remain in the fertilized zygote.